Ptyriasis versicolor is caused by?
1. Malassezia furfur
2. T. Rubrum
3. E. flocculosum
4. Candidiasis

Correct answer: 1. Malassezia furfur

Explanation: ANSWER: (A) Malassezia furfurREF: ROXBURGH'S Common Skin Diseases 17th edition page 299Tinea versicolor:Caused by Malassezia furfur (pityrosporum ovale)Presents multiple, small, hypo pigmented macules over chest and back of young adultsPerifollicular macules to begin with and then merge together.Diagnosis10% KOH mount - short and round hyphae (spaghetti and meat ball appearance)Green fluorescence on wood's lamp* Treatment:Ketoconazole/Itraconazole/ for systemic treatment and Miconazole/ clotrimazole for local application.Griesofulvin is not effective